The mechanism of the development of Acute Rheumatic Fever is which of the following?
1. Cross reactivity with exogenous antigen
2. Innocent bystander effect
3. Due to toxin secretion by streptococci
4. Release of pyrogenic cytokines

Correct answer: 1. Cross reactivity with exogenous antigen

Explanation: Acute rheumatic fever results from immune response to group A streptococci (Strep. pyogenes) which cross-reacts with host tissues. The antibodies directed against the M proteins of streptococci cross react with the self antigens in the heart. In addition, CD4+ T cells specific for streptococcal peptides also react with self proteins in the heart and produce macrophage activating cytokines. So, the damage to the heart tissue is a combination of antibody and T-cell mediated reactions